All of the following syndromes are associated with AML except
1. Down's syndrome
2. Klinefelter's syndrome
3. Patau syndrome
4. Turner's syndrome

Correct answer: 4. Turner's syndrome

Explanation: Genetic disorders : Increasingly, researchers are finding that leukemia may run in a family due to inherited gene mutations. AML occurs more often in people with the following inherited disorders: Down syndrome Klinefelter syndrome Fanconi anemia Wiskott-Aldrich syndrome Bloom syndrome Familial Platelet Disorder syndrome Reference: GHAI Essential pediatrics, 8th edition